Apparent volume of distribution (Vd) of a drug exceeds total body fluid volume, if a drug is:
1. Sequestrated in body tissues
2. Slowly eliminated from body
3. Poorly soluble in plasma
4. Highly bound to plasma proteins

Correct answer: 1. Sequestrated in body tissues

Explanation: Ans. (A) Sequestered in body tissues(Ref: KDT 8th/e p24)* Apparent volume of distribution (Vd ) is more for drugs sequestered in tissues.* Lipid insoluble drugs do not enter cells, Vd approximates ECF volume.